Kelly's medium is used in the isolation of -
1. Leptospira
2. Borrelia
3. Bartonella
4. Brucella

Correct answer: 2. Borrelia